Most common uterine malignancy
1. Leiomyosarcoma of uterus
2. Endometroid adeno carcinoma
3. Serous Uterine carcinoma
4. Clear cell carcinoma

Correct answer: 2. Endometroid adeno carcinoma

Explanation: 75 to 80 % of endometrial tumors are type1, which are endometroid adenocarcinomas.